Treatment of choice for Nocturnal enuresis is
1. Oxybutynin
2. Imipramine
3. Desmopressin
4. Behavioral therapy

Correct answer: 4. Behavioral therapy

Explanation: Behavioral therapy like using alarms is the treatment of choice for Nocturnal enuresis.
Desmopressin is the drug of choice for Nocturnal enuresis although Imipramine and Oxybutynin are also used.